RNA polymerase recognizes?
1. Promoter site
2. Initiation site
3. Regulator site
4. Stop site

Correct answer: 1. Promoter site

Explanation: (40) Promoter site REF: Harper 27`h ed p. 349 RNA polymerase has sigma sub unit which recognises promotor nucleotide sequence. It does not require primer and has no proof reading activity Types: r RNA m RNA, mi RNA, Sn RNA t- RNA, 5s-rRNA, some SnRNA